ROME scheme was introduced consequent to the recommendation of –
1. Srivastava Committee
2. Chadah committee
3. Mukherjee committee
4. Kartar Singh committee

Correct answer: 1. Srivastava Committee

Explanation: Shrivastava committee (1975) 

Shrivastava committee was set up : -


To devise a suitable curriculum for training a cadre of health assistants so that they can serve as a link between the qualified medical practitioners and multipurpose workers, thus forming an effective team to deliver health care, family welfare and nutritional services to the people.
To suggest steps for improving the existing medical educational processes as to provide due emphasis on the problems particularly relevant to national requirements.
To make any other suggestion to realize the above objectives and matters incidental thereto.


ROME (Reorientation of Medical Education) scheme is based on the recommendations of Shrivastava committee.